Which of the following vessel does not cross the midline of the body?
1. Left gonadal vein
2. Left renal vein
3. Left brachiocephalic vein
4. Hemiazygous vein

Correct answer: 1. Left gonadal vein

Explanation: The left gonadal vein drains into the left renal vein which crosses the midline to join inferior vena cava. All the other options (Left renal vein, left brachiocephalic vein and hemiazygous vein) cross the midline.